Amyotrophic lateral sclerosis involve:
1. Anterior horn cell
2. Posterior horn cell
3. Dorsal root ganglia
4. Ventral root ganglia

Correct answer: 1. Anterior horn cell

Explanation: Answer is A (Anterior Horn Cells):